First symptom of vulval cancer is -
1. Pruritis
2. Ulcerated lesion
3. Mass in the groin
4. White discharge

Correct answer: 1. Pruritis

Explanation: Ans. is 'a' i.e., Pruritis Vulvar Carcinomao Most patients are asymptomatic at diagnosis.o If symptoms exist, vulvar pruritis, mass, lump are the most common findingso Bleeding, ulcerative lesion, discharge, pain, dysuria - less frequent symptomso Large metastatic mass in the groin - Occasional symptom.Sites involvedo Labia majora and minora (60%)o Clitoris (15%)o Perineum (10%)o Too extensive to determine the site (10%)o Multifocal (5%)# As part of the initial clinical evaluation, colposcopy of the cervix and vagina should be performed because of the common association with other squamous intraepithelial or invasive neoplasm of the lower genital tract.